An example of a tumour suppressor gene is
1. myc
2. fos
3. ras
4. Rb

Correct answer: 4. Rb

Explanation: Robbins basic pathology 9th edition page no 182, Retinoblastoma gene is the first tumour suppressor gene to be discovered.